All of the following are true about fructose-1-6-bisphosphatase, EXCEPT:-
1. Key gluconeogenic enzyme
2. Fructose-2,6, bisphosphate is an allosteric activator of this enzyme
3. Catalyses the hydrolysis reaction
4. Requires magnesium for the catalysis

Correct answer: 2. Fructose-2,6, bisphosphate is an allosteric activator of this enzyme

Explanation: Fructose 1,6 bisphosphatase reverses the PFK-1 reaction. So, it is a key-gluconeogenic enzyme- option 1 is true. Reaction catalysed is a hydrolysis reaction- option 3 is true Option 4-Requires magnesium for the catalysis Fructose-2,6, bisphosphate is potent allosteric activator of PFK-1 and inhibitor of fructose-1-6-bisphosphatase (option 2 is false).